Bhore committee adviced:
1. Integration of health services
2. 100% immunization
3. Eradication of poverty
4. Minimum needs programme

Correct answer: 1. Integration of health services

Explanation: Ans: aRef: Park, 17th ed, p. 636 & 18,h ed, p. 671